Cyclic GMP act on :
1. Insulin
2. Thyroxin
3. Atrial natriuretic peptide
4. Growth harmone

Correct answer: 3. Atrial natriuretic peptide

Explanation: C i.e. Atrial natriuretic peptide